Structures passing through foramen ovale are all except:
1. Maxillary nerve.
2. Accessory meningeal artery.
3. Lesser petrosal nerve.
4. Emissary vein

Correct answer: 1. Maxillary nerve.